The minimum platelet count required to maintain vascular integrity in the microcirculation is:
1. 1000-5000
2. 5000-10000
3. 10,000-20,000
4. 20,000-30,000

Correct answer: 2. 5000-10000

Explanation: A platelet count of 5000-10,000 is required to maintain vascular integrity in microcirculation. Ref: Harrisons Principles of Internal Medicine, 18th edition, Page : 966